Grade III intraventricular hemorrhage is
1. Intraventricular hemorrhage alone
2. Hemorrhage limited to germinal matrix
3. Hemorrhage with ventricular dilatation
4. Parenchymal extension of hemorrhage

Correct answer: 3. Hemorrhage with ventricular dilatation

Explanation: Grade I - Hemorrhage limited to the germinal matrix
Grade II - Intraventricular hemorrhage
Grade III - Hemorrhage with ventricular dilatation
Grade IV - Parenchymal extension of hemorrhage.